True statement about tongue epithelium are all except?
1. At beginning -Endodermal (whole tongue)
2. Any External opening lined by Surface Ectoderm - Ant.2/3 of tongue
3. At Sulcus Terminalis- Ectoderm and Endodermal junction
4. Posterior 1/3rd - Mesodermal

Correct answer: 4. Posterior 1/3rd - Mesodermal

Explanation: Posterior 1/3 tongue is endodermal in origin . Tongue connective tissue and muscles- mesodermal in origin , connective tissue is derived from pharyngeal arches 1,2 and 3.